A case of Gestational trophoblastic neoplasia belongs to high risk group if disease develop after
1. Hydatidiform mole
2. Full term pregnancy
3. Spontaneous
4. Ectopic pregnancy abortion

Correct answer: 2. Full term pregnancy